All are inducations of lithium except:
1. Neutropenia
2. Major Depression
3. Vasculogenic Headaches
4. Generalized anxiety disorder

Correct answer: 4. Generalized anxiety disorder

Explanation: Ref: KDT 8th ed. *Lithium is used to treat acute mania and bipolar disorder. *Lithium is also used as prophylaxis for depression and mania in bipolar disorder. *It is sometimes used for other psychiatric disorders such as cycloid psychosis and unipolar depression. *Non-psychiatric uses are limited. However, it is used in the prophylaxis of some headaches related to cluster headaches.